A patient with carcinoma lower 1/3 of oesophagus, receives chemo Radiotherapy and dysphagia shows complete response. What is the next step in management?
1. Reassure
2. Follow with CT scan every 6 months
3. Esophagectomy
4. EUS to look for residual disease

Correct answer: 3. Esophagectomy

Explanation: - Clinical trials and meta-analyses have shown that a CRT + surgery regimen could significantly improve the survival of locally advanced esophageal carcinoma patients compared to surgery alone - Endoscopic biopsy, endoscopic ultrasonography, MRI (at various sequences) and PET-CT all had shortcomings for evaluating cCR and the therapeutic effect of cCR (concurrent chemoradiation) and nCRT (Neoadjuvant chemoradiation therapy)